Which of the following structure is not found at the Transpyloric plane?
1. Origin of Superior mesenteric Artery
2. Body of Gall bladder
3. Lower limit of Adult spinal cord
4. Hilum of Right kidney

Correct answer: 2. Body of Gall bladder

Explanation: Structures at Transpyloric plane

Origin of Superior mesenteric Artery
Fundus of Gall bladder
Hilum of both kidney
Lower limit of Adult spinal cord
Pylorus of Stomach